Emergence delirium are seen with:
1. Midazolam
2. Ketamine
3. Thiopentone
4. Opoids

Correct answer: 2. Ketamine

Explanation: Ketamine